Not a posterior mediastinal tumor:
1. Neurofibroma
2. Lymphoma
3. Thymoma
4. Gastroenteric cyst

Correct answer: 3. Thymoma

Explanation: Posterior Mediastinum Neurogenic tumors (MC overall) Meningoceles Mesenchymal tumours Pheochromocytoma Lymphoma Bochdalek hernia Bronchogenic cyst Enterogenous cyst EXTRA EDGE: MC anterior MM: ThymomaQ MC middle MM: Cyst(Pericardial cyst is MC) MC posterior MM: Neurogenic tumors MC MM (overall): Neurogenic tumors MM seen in all three compartments of mediastinum: Lymphoma, bronchogenic cyst & mesenchymal tumors IOC for diagnosis of MM (except neurogenic tumors): CT